Depression of consciousness level in hypothermia starts when the core body temperature falls below:
1. 35degC
2. 34degC
3. 33degC
4. 32degC

Correct answer: 4. 32degC

Explanation: Ans. 32degC